For every case of poliomyelitis the subclinical cases of poliomyelitis to be estimated
1. 500 children and 50 adults
2. 750 children and 75 adults
3. 1000 children and 75 adults
4. 1000 children and 50 adult

Correct answer: 3. 1000 children and 75 adults